Which of the following is a cardioprotective fatty acid a) Palmitic acidb) Stearic acidc) Oleic acidd) Omega-3 fatty acids
1. a
2. b
3. cd
4. abc

Correct answer: 3. cd

Explanation: Omega-3 fatty acids > 'c' i.e., Oleic acid 

Saturated fatty acids (palmitic acid and stearic acid) increase the risk of CHD.
Monounsaturated fatty acids (oleic acid) and co-3 fatty acids, both reduce the risk of CHD. However, co-3 polyunsaturated fatty acids are most cardioprotective:-

"Dietary co-3 polyunsaturated fats suppress cardiac arrhythmias, reduce serum triacylglycerols, decrease the tendency for thrombosis, lower BP, and substantially reduce the risk of cardiovascular mortality".